Which one of the following nutrient is more in the human milk as compared to cow's milk -
1. Protein
2. Calcium
3. Carbohydrate
4. Fat

Correct answer: 3. Carbohydrate

Explanation: Carbohydrate is more in human milk than cows milk. Protein in human milk=1.1,in cows milk=3.2REF. PARK'S TEXTBOOK OF PREVENTIVE AND SOCIAL MEDICAL 21ST EDITION. PAGE NO - 582